In left sided massive pneumothorax, ECG shows all, except
1. Left axis deviation
2. Absent R wave
3. Peaked P wave
4. Precordial T wave inversion

Correct answer: 1. Left axis deviation

Explanation: Answer is A (Left axis deviation): Left-sided pneumothorax is associated with right axis deviation.